Rolled up edges are seen in which of the following ulcer -
1. Tubercular
2. Venus
3. Rodent
4. Gummatus

Correct answer: 3. Rodent

Explanation: Answer-C. RodentRolled up- Rodent (BCC)